All of the following are features of apoptosis, except?
1. Cellular swelling
2. Nuclear compaction
3. Intact cell membrane
4. Cytoplasmic eosiophilia

Correct answer: 1. Cellular swelling

Explanation: Ans. is 'a' i.e., Cellular swelling o Apoptosis is associated with cellular shrinkage (reduced cell size) and not cellular swelling.